Diabetic retinopathy is essentially an angiopathy affecting retinal:
1. Precapillary arterioles
2. Capillaries
3. Venules
4. All of the above

Correct answer: 4. All of the above

Explanation: Ans. All of the above